All are seen in DKA except,
1. Tachypnoea
2. Dehydration
3. Bradycardia
4. Abdominal pain/tenderness

Correct answer: 3. Bradycardia

Explanation: Ans. is 'c' i.e., Bradycardia Manifestations of Diabetic ketoacidosis * There are three cardinal features of diabetic ketoacidosisKetosis QMetabolic acidosisHyperglycemicSymptomsNausea/VomitingThirst/polyuriaAbdominal painShortness of breathPhysical findingsTachycardia QDry mucous membrane/reduced skin turgor QDehydration Q/hypotensionTachypneic/Kussmaul respiration Q/respiratory distress QAbdominal tenderness (may resemble acute pancreatitis or surgical abdomen)Lethargy obtundation/cerebral edema/possibly comaPrecipitating eventsInadequate insulin administrationInfection (pneumonia/UTI/gastroenteritis/sepsis)Drugs (cocaine)Pregnancy